Which muscles are supplied by obturator nerve?
1. Abductor muscle
2. Adductor compartment
3. Extensor compartment
4. Flexor compartment

Correct answer: 2. Adductor compartment

Explanation: B. i.e. Adductor compartmentAdductor compartment of thigh is supplied by obturator nerveQ; and anterior flexor compartmentof thigh by femoral nerve. Gluteus medius, minimus & tensor fascia lata are supplied by superior gluteal nerve, (Mn- "Middle & Minimum class Tension is superior"). Where as gluteus maximus is supplied by inferior gluteal nerve.